The only condition associated with X-linked recessive inheritance is:
1. Phenylketonuria
2. Mucopolysaccharidosis
3. Achondroplasia
4. Marfan's syndrome

Correct answer: 2. Mucopolysaccharidosis

Explanation: X-linked recessive inheritance Hemophilia-A
 
Muscular dystrophy
 
Mucopolysaccharidosis type II (Hunter syndrome) Colour blindness
 
G6PD deficiency.
 
X-linked dominant inheritance Hypophosphatemic rickets Incontinentia pigmenti.
 
Autosomal recessive inheritance
 
Sickle cell anaemia 0-thalassemia Wilson's disease
 
 Xeroderma pigmentosa
 
Inborn error of metabolism (Alkaptonuria,
 
Phenylketonuria, Lysosomal storage disease)
 
Galactosemia.
 
4. Autosomal dominant inheritance Adult polycystic kidney Neurofibromatosis
 
Marfan's syndrome (long thin extremities, ectopia lentis, aortic aneurysm)
 
Osteogenesis imperfecta Familial hypercholesteremia
 
A chondrodysplasia and familial polyposis coli.